Delusion is not seen in -
1. Depression
2. Anxiety
3. Schizophrenia
4. Mania

Correct answer: 2. Anxiety